50 year old chronic smoker presents with C/O hemoptysis a mass in the wall of he Right main bronchus causing tapered narrowing and irregular stenosis. The next CT Scan that you will advise is
1. CT Adrenals
2. CT Pancreas
3. CT Kidneys
4. Repeat CT Thorax

Correct answer: 1. CT Adrenals

Explanation: * MC Site of Extrathoracic Mets in Ca Lung-Adrenals * Important for deciding operatablity